PDA true is all except ?
1. More common in preterm baby
2. Left to right shunt
3. Acyanotic congenital heart disease
4. More common in term baby

Correct answer: 4. More common in term baby

Explanation: Ans. is 'd i.e., More common in term baby During fetal life, most of the pulmonary arterial blood is shunted through the ductus arteriosus into the aorta . Functional closure of the ductus normally occurs soon after birth, but if the ductus remains patent when pulmonary vascular resistance falls, aortic blood is shunted into the pulmonary artery. The aortic end of the ductus is just distal to the origin of the left subclavian artery, and the ductus enters the pulmonary artery at its bifurcation Female patients with PDA outnumber males 2 : 1. PDA is also associated with maternal rubella infection during early pregnancy. It is a common problem in premature infants, where it can cause severe hemodynamic derangements and several major sequelae